All of the following are precipitating factor for hepatic encephalopathy in patients with chronic liver disease except
1. Hypokalemia
2. Hyponatremia
3. Hypoxia
4. Metabolic acidosis

Correct answer: 4. Metabolic acidosis

Explanation: Answer is D (Metabolic acidosis): Hepatic encephalopathy is precipitated by metabolic alkalosis and not by metabolic acidosis. Electrolyte and Metabolic imbalances that precipitate Hepatic Encephalopathy Hypokalemia Alkaosis (Metabolic Alkalosis) Hypoxia Hyponatremia